Disturbed orientation is seen in:
1. Schizophrenia
2. Neurosis
3. Paranoid personality
4. Organic mental disorder

Correct answer: 4. Organic mental disorder

Explanation: D i.e. Organic Mental disorder